Treatment of Congenital Hydrocephalus is
1. Stereotactic Surgery
2. Diuretics
3. Radiotherapy
4. VP shunt

Correct answer: 4. VP shunt

Explanation: Ans. (d) VP shuntRef: Bailey and Love 27th edition Page 655Treatment of Congenital Hydrocephalus:* Temporary CSF diversion by External Ventricular Drain* Ventriculo peritoneal shunt is long term mainstay management* Endoscopic Third Ventriculostomy* Lumbar Puncture is also a temporary measure until VP shunt is made.